Maximal reduction in gastric acidity is achieved by -
1. Truncal vagotomy and pyloroplasty
2. Truncal vagotomy and antrectomy
3. Partial gastrectomy
4. Highly selective vagotomy

Correct answer: 2. Truncal vagotomy and antrectomy